MCH care is assessed by
1. Death rate
2. Birth rate
3. Maternal mortality rate
4. Anemia in pregnancy

Correct answer: 3. Maternal mortality rate